A positive "Staliwohy's sign" is suggestive of which of the following conditions :
1. Twin pregnancy
2. Breech presentation
3. Vesicular mole
4. Low lying placenta

Correct answer: 4. Low lying placenta

Explanation: Low lying placenta